Which of the following drug is not used in the treatment of akathisia?
1. Benzodiazepam
2. Propranolol
3. Trihexyphenidyl
4. Haloperidol

Correct answer: 4. Haloperidol

Explanation: Akathisia refers to somatic restlessness which occur in patients treated with first generation antipsychotics. Among the options given haloperidol is an old generation antipsychotic which causes a side effect of akathisia. Drugs commonly used to treat akathisia are propranolol, benzodiazepines and anticholinergics. REF : Oxford text book of psychiatry 3rd Ed.